A young boy who has difficulty in getting up from sitting position was diagosed to have Duchene's muscular dystrophy. Which one is true regarding the mutation in the dystrophin gene in promoter region
1. Initiation of transcription to the dystrophin gene would be affected
2. Capping of mRNA of dystrophin gene would be affected
3. Tailing of mRNA of dystrophin gene would be affected
4. Premature termination

Correct answer: 1. Initiation of transcription to the dystrophin gene would be affected

Explanation: The promoter region of DNA is responsible for initiation of the RNA transcription, hence any mutation in this region is going to effect the initiation process of mRNA synthesis.